Most common siteof endometeriosis -
1. Ovary
2. Fallopian tube
3. LSCS scar
4. Colon

Correct answer: 1. Ovary

Explanation: Ans. is 'a' i.e., Ovary